Streptomycin is a?
1. Peptide
2. Gycoside
3. Phospholipid
4. Glycolipid

Correct answer: 2. Gycoside

Explanation: Ans. is 'b' i.e., Gycoside o Streptomycin is an amino-glycoside i.e. amino group is linked to aminosugar by glycoside bond.